Injury caused to the pedestrian in a vehicular accident due to his/her striking onto the object on road is known as -
1. Primary injury
2. Secondary injury
3. Acceleration injury
4. Decceleration injury

Correct answer: 2. Secondary injury

Explanation: Secondary injury is caused by person violently falling on ground (road) or on stationary object.